Kidney biopsy from a child with hemolytic uremic syndrome characteristically most likely presents features of -
1. Thrombotic microangiopathy
2. Proliferative glomerulonephritis
3. Focal segmental glomerulosclerosis
4. Minimal change disease

Correct answer: 1. Thrombotic microangiopathy

Explanation: HUS(hemolytic uremic syndrome) caused by insults that lead to the excessive activation of platelets, which deposit as thrombi in microcirculatory beds. These intravascular thrombi cause microangiopathic hemolytic anemia and widespread organ dysfunction, and the attendant consumption of platelets leads to thrombocytopenia. Complications of bacillary dysentery: 1. Reiter syndrome: A triad of sterile arthritis, urethritis, and conjunctivitis. 2. Hemolytic- uremic syndrome: It is due to a toxin secreted by Shigella organisms From Pathologic basis of disease Robbins 8th edition, pg no:669 Ref: RAM DAS NAYAK EXAM PREPARATORY MANUAL FOR UNDERGRADUATES 2nd ed. pg no: 499